Contraindication for surgery in varicose veins -
1. DVT
2. Multiple incompetent perforators
3. Ulcer at ankle
4. None

Correct answer: 1. DVT

Explanation: Ans. is 'a' i.e., DVT o Deep vein thrombosis is a contraindication for t/t of varicose veins.o Varicose vein surgery should never be attempted in a case where deep vein thrombosis exists along with varicose veins, because in these cases superficial veins are the only valved venous pathway and excising them will only aggravate the condition.